Auenbrugger's sign is seen in
1. Pericardial effusion
2. Mitral regurgitation
3. Cardiac tamponade
4. HOCM

Correct answer: 1. Pericardial effusion

Explanation: Bulging of the epigastrium (Auenbrugger's sign) seen in cases of large pericardial effusion.